All are seen in deep vein thrombosis except
1. Swelling
2. Pain
3. Discoloration
4. Claudication

Correct answer: 4. Claudication

Explanation: Deep vein Thrombosis Clinical features Most common presentation of DVT : Pain & swelling, especially in the calf of one lower limb Bilateral DVT is common, occurring in upto 30% Many patients have no symptoms of thrombosis and many first present with signs of a pulmonary embolism e.g., pleuritic chest pain, hemoptysis & shortness of breath Physical signs : Mild pitting edema of the ankle, dilated surface veins, a stiff calf and tenderness over the course of the deep veins Earliest signs of DVT :Calf tenderness Low grade fever may be present, especially in a patient who is having repeated pulmonary embolus Homan's sign :Resistance (not pain) of the calf muscles to forcible Dorsi flexion is not discriminatory and should be abandoned Homan's sign Resistance (not pain) of the calf muscles to forcible Dorsi flexion Phlegmasia alba dolens Painful white leg Obstruction of major deep venous channels Phlegmasia cerulean dolens Painful blue leg Obstruction of both collateral & deep venous channel Moses sign ( Bancroft's sign) Calf tenderness on direct pressure on the calf Pratt's sign Calf tenderness on squeezing the calf from sides Ref : Sabiston 20th edition Pgno :1844 Harrison's 19th edition Pgno :1634